Drug with both antidepressant and antipsychotic properties is?
1. Buspirone
2. Amoxapine
3. Trazodone
4. Minaserine

Correct answer: 2. Amoxapine

Explanation: Ans. is 'b' i.e., Amoxapine oRt Amoxapine is the only antidepressant which blocks D2 receptors along with inhibition of NA reuptake --> has mixed antidepressant + neurolepic property.